This drug can clear trypanosomes from blood and lymph nodes and is active in late CNS stages of African sleeping sickness. It is :
1. Emetine
2. Melarsoprol
3. Nifurtimox
4. Suramin

Correct answer: 2. Melarsoprol